Acetyl co-A can he directly converted to all except:
1. Glucose
2. Fatty acids
3. Cholesterol
4. Ketone bodies

Correct answer: 1. Glucose

Explanation: Ans. a. Glucose [Ref: Harper 29/e p123, 164, 187-189; Lippincott 4/e p266, 111-112, 220, 96, 119, 192, 195-196 Lehninger 5/e p616-617. 695. 557[Acetyl CoA is not a substrate for gluconeogenesis and cannot be converted back to glucose."Acetyl coenzyme A arises from pyruvate (the end product ofaerobic glycolysis) by irreversible oxidative decarboxylation catalyzed by pyruvate dehydrogenase (PDH) complex.""Acetyl CoA is not a substrate for gluconeogenesis and cannot be converted back to glucose. This is because acetyl CoA cannot be converted back to pyruvate since its carbon backbone is lost in citric acid cycle as CO2.""Acetyl CoA is used in oxidative phosphorylation (in TCA cycle) for energy production; in acetylation reaction (coenzyme pantothenic acid) for detoxification and acetyl choline formation. It is also used in cholesterol synthesis, steroidogenesis (steroid hormone and vitamin D} synthesis), lipogenesis (fatty acid synthesis and elongation, synthesis of ether lipids like plasmalogens and PAF) and ketogenesis (ketone body-formation). ""Acetyl CoA is a precursor or starting material (and substrate for enzymes) for synthesis of cholesterol and ketone bodies (substrate for H\fG CoA synthetase) and fatty acid synthesis (= substrate for fatty acid synthase, acetyl CoA carboxylase or malonyl CoA synthetase and malonyl transaeetylase)."